Which of the following is (uses) an oxygen dependent mechanism of killing/degradation in phagocytosis
1. H2O2- MPO halide
2. BPI (Bactericidal Permeability Increasing Protein)
3. Lactoferrin
4. Lysozyme

Correct answer: 1. H2O2- MPO halide